Hour glass deformity is seen in -
1. Carcinoma stomach
2. Peptic ulcer
3. Duodenal atresia
4. CHPS

Correct answer: 2. Peptic ulcer

Explanation: Hour glass stomach is caused due to cicatracia contraction of a saddle shaped ulcer at the lesser curvature.